A patient with psoriasis was started on systemic steroids. After stopping the treatment, the patient developed generalized pustules all over the body.The cause is most likely to be -
1. Bacterial infection
2. Erythrodermic Psoriasis
3. Drug induced reaction
4. Pustular psoriasis

Correct answer: 4. Pustular psoriasis

Explanation: Patient of psoriasis on withdrawal of systemic steroids leads to: 1)Pustular Psoriasis: - Multiple sterile pustules develop on whole body(including palms & soles) k/a sterile as there is no infection, only infiltration present. -If generalised k/a Von Zumbusch disease. - Other provocating factors include Infection, Pregnancy and Hypocalcaemia associated with hypoparathyroidism. 2) Erythrodermic psoriasis >90% body surface area shows redness/inflamed or/- scaling Systemic steroids are contraindicated in psoriasis as, on withdrawal it causes pustular psoriasis except inpregnancy where they are drug of choice